Ozonolysis is used for
1. Early meniscal tear
2. Early meniscal cyst
3. Disc bulge
4. Sequestered disc

Correct answer: 3. Disc bulge

Explanation: The intervertebral disc is filled with nucleus pulposus which is a jelly-like material which holds water (90% of disc material is water). When ozone is injected into the disc the proteoglycan bridges in the jelly-like material are broken down and they no longer capable of holding water. As a result, disc shrinks and mummifies which is equivalent to surgical discectomy and so the procedure is called ozone discectomy or ozonucleolysis. A reduction in herniated disk volume is one of the therapeutic aims of intradiscal administration of medical ozone, as disk shrinkage may reduce nerve root compression. Ref: Internet sources